Imatinib is useful in treatment of ?
1. Neuro fibromatosis
2. CD 117 positive GIST
3. Neuroendocrine tumor of pancreas
4. Breast Ca

Correct answer: 2. CD 117 positive GIST

Explanation: Ans. is 'b' i.e., CD 117 positive GIST GIST cells are positive for CD-1I7 (C-KIT). o Mutation in C-KIT results in continuous activation of receptor tyrosine kinase. o Imatinib inhibits tyrosine kinase activity of C-KIT --> Imatinib is used in GIST o Patients who develop resistance to imatinib may respond to the multiple tyrosinase kinase inhibitor sunitinib.